Diagnostic criteria for SIRS include all except:
1. Hypotension
2. Tachycardia
3. Tachypnoea
4. Leucocytosis

Correct answer: 1. Hypotension

Explanation: Systemic inflammatory response syndrome (SIRS):Two or more of the following conditionsFever (oral temperature >38 deg C) or hypothermia (<36 deg C)Tachypnea (>24 breaths/min)Tachycardia (heart rate >90/min)Leukocytosis (>12000/micro L), leucopenia (<4000/micro L), or >10% bands(ref:Harrison's 18/e p2223, table 271-1)